When the patient is asked to look upwards with the head fixed, there will be absence of wrinkling on the forehead, this is known as:
1. Joffroy's sign
2. Von graffe's sign
3. Moebius sign
4. Dalrymple's sign

Correct answer: 1. Joffroy's sign

Explanation: Various other eye signs seen in thyrotoxicosis are: